Feeling of uncertainty and excessive sense of responsi!viability is seen in:
1. Obsessive compulsive disorder
2. Phobia
3. Personality disorder
4. Generalized anxiety disorder

Correct answer: 1. Obsessive compulsive disorder

Explanation: Ans: A. Obsessive compulsive disorder(Ref Kaplan and Sadock 11/e p390; Nirai Ahuia 7/e p90)OCD - Symptoms:Pathological doubts (feeling of uncertainty) & excessive sense or responsibility are both.